Amino acid deficient in both Wheat and Maize ?
1. Lysine
2. Threonine
3. Tryptophan
4. Methionine

Correct answer: 1. Lysine

Explanation: Ans. is 'a' i.e., Lysine Wheat Next to rice, wheat is the most important cereal. The limiting amino acids in wheat proteins are lysine and threonine.